Intense local pain, swelling, ecchymoses, and oozing of the hemolyzed blood from the site of snake bite is most likely to occur with a bite of which species of snake?
1. Cobra
2. Viper
3. Sea snakes
4. Any of the above

Correct answer: 2. Viper

Explanation: Local oozing of blood from the site of snake bite occurs in the vasculotoxic snake, i.e. viper.